Prussak's space is situated in -
1. Epitympanum
2. Mesotympanum
3. Hypotympanum
4. Ear canal

Correct answer: 1. Epitympanum

Explanation: Prussak's space is the space between pars flaccida, and the neck of malleus in the Epitympanum (see fig. 1.4)

It is the M/C site for primary cholesteatoma.